Which of the following statement is true regarding Fixed Dose Combination of drugs
1. Adverse effect of one drug may be reduced by the other drug
2. Two drugs with different pharmacokinetics can be combined easily
3. Dose of one drug can be altered independently as per requirement
4. Adverse effect can be ascribed to a single drug

Correct answer: 1. Adverse effect of one drug may be reduced by the other drug

Explanation: Fixed Drug Combination (FDC) Two different drug moieties are combined into a single pharmaceutical formulation. * As a rule, two drugs are ideal for combination into a FDC only when they have comparable pharmacokinetics. E.g: Cotrimoxazole = Sulfamethoxazole (t1/2 -11h) + Trimethoprim(t1/2 - 10h) Syndopa = Levodopa (t1/2 -1.7h) + Carbidopa (t1/2 -2h) Ref:- HL & KK Sharma's Principles of Pharmacology 3rd Ed; Pg.No: 57-8